APGAR score 3 at 1 minute indicates:
1. Mildly depressed
2. Further resuscitation not needed
3. Severely depressed
4. Normal

Correct answer: 3. Severely depressed

Explanation: A - Appearance P - Pulse rate G - Grimace A - Activity R - Respiratory effort Max score - 10; Min score - 0 According to NNF & WHO: APGAR SCORE INTERPRETATION 0-3 Severe birth asphyxia 4-7 Moderate birth asphyxia >7 Normal